In villous papillomas of the rectum which is lost ?
1. Na+
2. Mg+
3. K+
4. All

Correct answer: 3. K+

Explanation: Ans. is 'c' i.e., K+